Which is 21stamino acid
1. Alanine
2. Cystine
3. Arginine
4. Seleno cysteine

Correct answer: 4. Seleno cysteine

Explanation: Selenocysteine is now considered as 21st amino acid.